A child is suffering from recurrent chronic infections with encapsulated bacteria; Which subclass of IgG does the child has deficiency
1. IgG1
2. IgG2
3. IgG3
4. IgG4

Correct answer: 2. IgG2

Explanation: * IgG has four subclasses: IgG1, IgG2, IgG3 and IgG4 * IgG2 antibody is directed against polysaccharide antigens and hence it is most important defence against encapsulated bacteria. Ref:- Review of medical microbiology and immunology 13th ed; pg num:- 1127